Which is used for sterilization of cystoscope
1. Glutaraldehyde
2. Formaldehyde
3. Isopropyl alcohol
4. Ethylene oxide

Correct answer: 1. Glutaraldehyde

Explanation: Ans. (a) Glutaraldehyde